The shunt surgery to control variceal bleeding in noncirrhotic portal fibrosis is done, if:
1. Very low platelet count
2. Upper GI bleeding at the age of 30
3. If beta blockers contraindicated
4. Associated with cirrhosis

Correct answer: 1. Very low platelet count

Explanation: Shunt surgery is preferred in Non cirrhotic portal fibrosis with: Symptomatic large splenomegaly Very low platelet count (<20,000) Stays far away from a good medical center where an upper GI bleed can be tackled Rare blood group Endoscopic variceal ligation is preferred as the treatment modality for UGI bleeding in NCPF. Beta blockers also can be given. In cirrhotic patients too EVL is the best treatment. Ref: Medicine Update 2012 Vol. 22.